Which of the following causes heart failure with reduced ejection fraction?
1. Restrictive cardiomyopathy
2. Hemochromatosis
3. Amyloidosis
4. Dilated Cardiomyopathy

Correct answer: 4. Dilated Cardiomyopathy